75% contribution to parasympathetic system is by which cranial nerve -
1. Oculomotor
2. Facial
3. Glossopharyngeal
4. Vagus

Correct answer: 4. Vagus

Explanation: Ans. is D i.e., Vagus "Vagus nerve contains almost 75% of all parasympathetic nerve fibers" - Clinical anatomy "About 75% of all parasympathetic nerve fibers are in vagus nerve" - Miller's Anesthesia